Transitional cell epithelium in seen in which ovarian tumour?
1. Granulosa cell tumor
2. Endodermal sinus tumor
3. Brenner's tumor
4. Hilus cell tumor

Correct answer: 3. Brenner's tumor

Explanation: Ans. C. Brenner's tumor. (Ref Shaw Gynecology 15th/pg. 376)Histology, Brenner's tumor is characterized by background of fibrous tissue; with interspresed transitional epithelium (Walthard cells).Typical Histological findings of few ovarian tumorsHistological findingOvarian tumor1Call exner bodiesGranulosa cell tumor2Schiller duval bodiesEndodermal sinus tumor (Yolk sac tumor)3Reinke crystalsHilus cell tumor4Rokitansky bodiesTeratoma5Walthard cell (transitional epithelium) and puffed wheat cellBrenner's tumor6Signet ring apperanceKrukenberg's tumor7Hobnail cellsClear cell carcinoma of ovaryOvarian tumorsBenign ovarian neoplasmsSerous cystadenomaMost common ovarian neoplasm. Thin-walled, uni- or multilocular. Lined with fallopian-like epithelium. Often bilateral.Mucinous cystadenomaMultiloculated, large. Lined by mucus-secreting epithelium.EndometriomaMass arising from growth of ectopic endometrial tissue. Complex mass on ultrasound.Presents with pelvic pain, dysmenorrhea, dyspareunia.Mature cystic teratoma (dermoid cyst)Germ cell tumor, most common ovarian tumor in women 20-30 years old. Can contain elements from all 3 germ layers; teeth, hair, sebum are common components. Can present with pain 2deg to ovarian enlargement or torsion. Can also contain functional thyroid tissue and present as hyperthyroidism (struma ovarii).Brenner tumorLooks like bladder. Solid tumor that is pale yellow-tan in color and appears encapsulated."Coffee bean" nuclei on H&E stain. Histology, Brenner's tumor is characterized by background of fibrous tissue; with interspresed transitional epithelium (Walthard cells).FibromasBundles of spindle-shaped fibroblasts. Meigs syndrome--triad of ovarian fibroma, ascites, and hydrothorax. Pulling sensation in groin.ThecomaLike granulosa cell tumors, may produce estrogen. Usually present as abnormal uterine bleeding in a postmenopausal woman.Malignant ovarian neoplasmsimmature teratomaAggressive, contains fetal tissue, neuroectoderm. Immature teratoma is most typically represented by immature/embryonic-like neural tissue. Mature teratomas are more likely to contain thyroid tissue.Granulosa cell tumorMost common sex cord stromal tumor. Predominantly women in their 50s. Often produce estrogen and/or progesterone and present with abnormal uterine bleeding, sexual precocity (in pre-adolescents), breast tenderness. Histology shows Call-Exner bodies (resemble primordialfollicles).Serous cystadenocar- cinomaMost common ovarian neoplasm, frequently bilateral. Psammoma bodies.Mucinous cystadenocar- cinomaPseudomyxoma peritonei-intraperitoneal accumulation of mucinous material from ovarian or appendiceal tumor.DysgerminomaMost common in adolescents. Equivalent to male seminoma but rarer. 1% of all ovarian tumors; 30% of germ cell tumors. Sheets of uniform "fried egg" cells. The beta-hCG, LDH = tumor markers.ChoriocarcinomaRare; can develop during or after pregnancy in mother or baby. Malignancy of trophoblastic tissue (cytotrophoblasts, syncytiotrophoblasts); no chorionic villi present. Increased frequency of theca-lutein cysts. Presents with abnormal a-hCG, shortness of breath, hemoptysis. Hematogenous spread to lungs. Very responsive to chemotherapy.Yolk sac (endodermal sinus) tumorAggressive, in ovaries or testes (boys) and sacrococcygeal area in young children. Most common tumor in male infants. Yellow, friable (hemorrhagic), solid mass. 50% have Schiller-Duval bodies (resemble glomeruli). AFP = tumor marker.Krukenberg tumorGI malignancy that metastasizes to the ovaries, causing a mucin-secreting signet cell adenocarcinoma.